Most common site in larynx for sarcoidosis is:
1. Epiglottis
2. Vocal cord
3. Cartilage
4. None of the above

Correct answer: 1. Epiglottis

Explanation: One to five percent of patients with sarcoidosis present with lesions within the larynx. The epiglottis is the most common site of involvement.